Inferior most structure of right hilum is -
1. Bronchus
2. Inferior pulmonary vein
3. Pulmonary artery
4. Inferior bronchial vein

Correct answer: 2. Inferior pulmonary vein

Explanation: Structures at the hilum- Superior to inferior
 -        Left lung

Pulmonary artery
Bronchus
Inferior pulmonary vein

-        Right lung

Eparterial bronchus
Pulmonary artery
Hyparterial bronchus
Inferior pulmonary vein